Ewings sarcoma clinically mimics ?
1. Osteomyelitis
2. Osteochondroses
3. Osteosclerosis
4. Heterotopic ossification

Correct answer: 1. Osteomyelitis

Explanation: Ans. is 'a' i.e., Osteomyelitis Ewing sarcoma is one of the differential diagnosis for subacute osteomyelitis. (see following table)